All are related to recurrent shoulder dislocation except
1. Hill sachs defect
2. Bankart lesion
3. Lax capsule
4. Rotator cuff injury

Correct answer: 4. Rotator cuff injury

Explanation: D i.e. Rotator cuff injury